Prolactinoma in pregnancy, all are true except
1. Most common pituitary tumor but rarely symptomatic
2. Increase in prolactin levels worse prognosis
3. Macroadenoma> 1 cm is associated with bad prognosis
4. Regular visual checkup

Correct answer: 2. Increase in prolactin levels worse prognosis

Explanation: PROLACTINOMA

Prolactinoma is a prolactin secreting tumours of the pituitary
It is a benign tumor
It is most common type of primary tumour
It is more common in women than in men